Lymphoid malignancy arising from thymic cells are
1. Follicular lymphoma
2. Diffure large B-cell lymphoma
3. Burkitt lymphoma
4. Pre-Tcell All

Correct answer: 4. Pre-Tcell All

Explanation: About 85% are B -ALLs, which typically manifest as childhood acute leukemia.
Less common T - ALLs tend to present in adolescent males or thymic lymphomas.
These thymic lymphomas causes compression of large vessels and airway in the mediastinum.